Following Gene when mutated protects tumor cells from apoptosis
1. BCL-2
2. BRCA
3. RB
4. TGF- beta

Correct answer: 1. BCL-2

Explanation: Ref, Robbins 9/ep606 We need to identify Gene which should be able to inhibits apoptosis.thr answer therefore is BCL -2.it seen to result in the development of follicular lymphoma